Catatonic features seen in schizophrenia are also seen in
1. Severe depression
2. Conversion disorder
3. Personality disorder
4. Somatisation disorder

Correct answer: 1. Severe depression

Explanation: Catatonia can be present in several mental disorders, most commonly seen in schizophrenia and mood disorders. The hallmark symptoms of catatonia--mutism, stuporousness, blunted affect, extreme withdrawal, negativism, and marked psychomotor retardation there are various causes for catatonia namely both catatonic and non catatonic schizophrenia, major depressive disorder (often with psychotic features medical and neurological disorders like akinetic mutism seen in frontal lobe syndromes, locked in syndrome Reference: Kaplan & Sadock's synopsis of psychiatry, 11th edition, page 360.